Which of the following is false about glass ionomer cement?
1. Acid treatment of the tooth surface is required before placement
2. Poor marginal seal
3. Low fracture resistance
4. Has ability to renew broken ionic bonds

Correct answer: 2. Poor marginal seal

Explanation: The adhesion of GIC to dentin reduces the probability of gap formation at gingival margins located in dentin or cementum, compensating for the polymerization shrinkage of the overlying resin-based composite restoration on the hybrid ionomer base.
Ref: Phillip’s Science of Dental Materials ed 12 pg 327